Merits of nasotracheal intubation is
1. Good oral hygiene
2. Less infection
3. Less miscosal damage and bleeding
4. More movement or displacement of endotracheal t ube

Correct answer: 1. Good oral hygiene

Explanation: Good oral hygine Intubation can be done in two ways : Orotracheal intubation Nasotracheal intubation Orotracheal intubation is the preferred technique in most cases. It is most suited to emergency situation (nasotracheal intubation requires a little extra time. Orotracheal intubation under direct laryn goscopy is generally the easier route and the one of choice in unstable patients when rapid re-establishment of the airway is essential. Nasatracheal intubation is better tolerated during pralonged mechanical ventilation. Nasotracheal intubation has certain drawbacks :? - Increased risk of nosocomial sinusitis - Increased risk of mensal damage and bleeding therefore nasotracheal intubation should be avoided in coagulopathies - Restricted movement of the endotracheal tube Complications of orotracheal tube occurs due to - Occlusion or displacement of the tube and airway trauma.